A newborn is prone for hypothermia due to following reasons except?
1. More body surface area
2. Less subcutaneous fat
3. Larger head size compared to rest of body
4. Brown fat

Correct answer: 4. Brown fat

Explanation: Presence of brown fat is a protective mechanism against hypothermia in newborn babies Infants have more body surface area compared to adults which makes them prone for heat loss. In particular, head size has the largest body surface area in the entire body In low birthweight and preterm infants, the insulatinglayer of subcutaneous fat is thin which makes them prone for hypothermia